Patellar tendon bearing P.O.P. cast is indicated in the following fracture:
1. Patella
2. Tibia
3. Medial malleolus
4. Femur

Correct answer: 2. Tibia

Explanation: Patellar tendon bearing cast is indicated in fracture shaft of tibia (closed fracture). With good alignment it unites within 6 weeks in the case of children and 16 - 20 weeks in adults. Ref: Essential Orthopedics By J Maheswari, 2nd Edition, Page 133; Rockwood and Green's 'Fractures in Adult', 4th Edition, Page 163